The management of fat embolism includes all of the following except -
1. Oxygen
2. Heparinization
3. Low Molecular weight dextran
4. Pulmonary Emblectomy

Correct answer: 4. Pulmonary Emblectomy

Explanation: Pulmonary embolectomy has not been mentioned  in the treatment of fat embolism syndrome.
All other are used.